Which of the following is a "Fenestrated hip prosthesis"?
1. Bipolar prosthesis
2. Austin Moore prosthesi
3. Thompson prosthesis
4. All

Correct answer: 2. Austin Moore prosthesi

Explanation: ANSWER: (B) Austin Moore prosthesisREF: Essential Handbook of Practical Orthopedic Examination, By Dr. Kaushik Banerjee, page 146Bipolar prosthesis is used for total hip replacement (THR) while the Austin Moore and Thompson both are used for hemiarthroplasty. Bipolar prosthesis can be both fenestrated and non-fenestratedAustin Moore is always fenestratedThompson is always non fenestrated Austin mooreThompsonPartsHead, neck, collar, shoulder, stemHead, neck, collar, stem (no shoulder)FixingWithout bone cementWith bone cementExtractionEasierVery difficultStem fenestrationsTwo in numberNilCollar holePresent (to check position)AbsentSelf-lockingPresentAbsentWeightLight weightHeavierUsed whenCalcar femorale > 1.25 cmCalcar femorale <1.25 cm